Reinke's crystals are found in -
1. Arrhenoblastoma
2. Granulosa cell tumor
3. Dysgerminoma
4. Hilus cell tumor

Correct answer: 4. Hilus cell tumor

Explanation: Ans. is 'd' i.e., Hilus cell tumorReinke's crystal are seen in hilus cell tumor of ovary.